All are true for multiple myeloma except -
1. Hypercalcemia
2. Hyperuricemia
3. Serum alkaline phosphatase
4. Monoclonal M band

Correct answer: 3. Serum alkaline phosphatase

Explanation: In multiple myeloma ,hypercalcaemia is due to destruction of bones; hyperuricaemia from necrosis of tumour mass & from uraemia related to renal failure . On serum electrophoresis ,the paraprotein usually appears as a single narrow homogeneous M-band component .Reference :Harsh mohan Textbook of pathology sixth edition pg no 383.